Total osmolarity of WHO-New formula- low osmolality ORS is
1. 210 mOsm/L
2. 245 mOsm/L
3. 310 mOsm/L
4. 345 mOsm/L

Correct answer: 2. 245 mOsm/L

Explanation: New Formula WHO-ORS NaCl 2.6 g KCl 1.5 g Trisodium citrate 2.9 g Glucose 13.5 g Water 1 L Na+ 75 mmol/L K+ 20 mmol/L Cl- 65 mmol/L Citrate 10 mmol/L Glucose 75 mmol/L Total osmolality 245 mosm/L